The ductus arteriosus closes anatomically within:-
1. Immediately after birth
2. 7 days after birth
3. 4-6 weeks after birth
4. 10 - 21 days after birth

Correct answer: 4. 10 - 21 days after birth

Explanation: - Anatomical closure of ductus arteriosus occurs within 10 to 21 days after birth. Occurs by proliferation of its intima cells - Functional closure of ductus arteriosus occurs immediately after birth by smooth muscle contraction which occurs as a result of increase in oxygen saturation.